A 50 year old man presents at an emergency room because of several hours of progressively increasing chest pain that no longer responds to sublingual nitroglycerin. This type of angina is thought to be due to which of the following conditions?
1. Atherosclerosis alone
2. Coronary artery embolism
3. Coronary artery spasm
4. Thrombosis with or without underlying atherosclerosis

Correct answer: 4. Thrombosis with or without underlying atherosclerosis

Explanation: The patient has unstable or crescendo angina, which is thought to be due to a slowly developing thrombosis in a coronary artery branch. The thrombosis may or may not occur over an area of the vessel involved by atherosclerotic plaque. Thrombolytic agents are particularly helpful in this type of patient. Atherosclerosis alone usually causes stable angina occurring with exertion. Coronary artery embolism is uncommon, but can occur if a plaque at the aortic orifice fragments and is driven into a coronary artery. Coronary artery spasm is thought to cause angina at rest (Prinzmetal's angina). This type of angina is typically severe, but does not have a crescendo pattern, and often occurs in younger patients. Ref: Wyatt C., Butterwoh IV J.F., Moos P.J., Mackey D.C., Brown T.G. (2008). Chapter 10. Cardiac Pathology. In C. Wyatt, J.F. Butterwoh IV, P.J. Moos, D.C. Mackey, T.G. Brown (Eds), Pathology: The Big Picture.